In cholangiography CBD stone appears as
1. Meniscus sign
2. Cutoff sign
3. Slight flow of dye from the sides
4. Ability to absorb water

Correct answer: 1. Meniscus sign

Explanation: Mr cholangiography : provides excellent anatomic detail, with sensitivity and specificity of 95 %and 98 %respectively for CBD stones Typical meniscus sign is seen when the CBD stone is wedged at the level of the papilla Ref: Sutton 6th edition Pgno : 971